As the alveolar bone height moves apically, center of resistance moves:
1. Apically
2. Coronally
3. Mesially
4. Infinity

Correct answer: 1. Apically